Molar pregnancy can be best diagnosed by
1. Clinical history & examination
2. Ultrasound study
3. Laproscopy
4. CT Scan

Correct answer: 2. Ultrasound study

Explanation: USG is the investigation of choice for molar pregnancies.